Toxic epidermal necrolysis {TEN} involves body surface area
1. <10%
2. 10-20%
3. 20-30%
4. >30

Correct answer: 4. >30

Explanation: Based on body surface area ( BSA) of skin involved, epidermal necrolysis is classified into SJS: less than 10% BSASJS_TEN overlap: 10-30% BSA TEN : more than 30% BSA. From illustrated synopsis of dermatology and sexually transmitted diseases neena khanna 5th edition page no 92